The following conditions favours mummification
1. Warm & Humid climate
2. Absence of moisture
3. Clostridium perfringes
4. Intrinsic Lipases

Correct answer: 2. Absence of moisture

Explanation: Ideal conditions for mummification: High temperature, dry condition, absence of moisture and free circulation of air. Ideal conditions for Adipocere formation: Warm temperature, moisture, less air, bacteria, and fat splitting enzymes (lipases).